What is the physiological role of calcitonin in metabolism?
1. Lowers Ca2+ levels
2. Increases Ca2+ levels
3. Increases PO4 levels
4. None of the above

Correct answer: 1. Lowers Ca2+ levels

Explanation: Calcitonin lowers circulating calcium and phosphate levels. It exerts its calcium-lowering effect by inhibiting bone resorption. This action is direct, and calcitonin inhibits the activity of osteoclasts in vitro. It also increases Ca2+ excretion in the urine. Ref: Barrett K.E., Barman S.M., Boitano S., Brooks H.L. (2012). Chapter 21. Hormonal Control of Calcium & Phosphate Metabolism & the Physiology of Bone. In K.E. Barrett, S.M. Barman, S. Boitano, H.L. Brooks (Eds), Ganong's Review of Medical Physiology, 24e.